Burkitt's Lymphoma is associated with which of the following viruses
1. EBV
2. HTLV-1
3. HHV- 8
4. Adenovirus

Correct answer: 1. EBV

Explanation: Answer is A (t(8:14)) 'Demonstration of very high proliferative fraction and the presence of the t (8; 14) or one of its variants t (2; 8) or t(8:22) can be confirmatory of Burkitt's lymphoma /leukemia'